Mailgnant otitis externa is due to ?
1. Wax impaction
2. Hypertesion
3. Diabetes
4. None of above

Correct answer: 3. Diabetes

Explanation: Malignant otitis externa Otitis externa is a common ear infection also known as swimmer's ear. It develops in the ear canal leading to the eardrum. In some cases, otitis externa can spread to surrounding tissue, including the bones of the jaw and face. This infection is known as malignant otitis externa. Although otitis externa is also known as swimmer's ear, malignant otitis externa isn't due to water remaining in the ear canal. Bacteria such as Pseudomonas aeruginosa and Staphylococcus aureus often cause malignant otitis externa. Over 90 percent of people who develop malignant otitis externa have diabetes. Malignant otitis externa is an aggressive infection rather than a malignancy, or cancer. An alternative name for malignant otitis externa is necrotizing external otitis. If it's not treated malignant otitis externa can be life-threatening. What causes malignant otitis externa? Malignant otitis externa isn't commonly a complication of swimmer's ear. Typically, the condition occurs when you have other health problems or you're receiving treatment that can weaken your immune system. These can include: diabetes chemotherapy HIV AIDS